Postmortem caloricity is seen in all, EXCEPT:
1. Sunstroke
2. Septicemia
3. Tetanus
4. Drowning in well

Correct answer: 4. Drowning in well

Explanation: In Postmortem caloricity the temperature of the body remains raised for the first two hours or so after death. This occurs in, 1. When the regulation of heat production has been severely disturbed before death as in sunstroke or in some nervous disorders. 2. When there is great heat production in muscles due to convulsions as seen in tetanus. 3. When there is excessive bacterial activity as see in septicemia. Ref: Forensic Medicine, Narayana Reddy, 29th Edition, Page 140